Which of the following maxillary major connector provides the greatest retention:
1. Palatal strap.
2. Complete palate.
3. Double palatal bar.
4. U shaped.

Correct answer: 2. Complete palate.